Which of the following is not involved in intrinsic pathway
1. Factor XII
2. Factor XI
3. Factor IX
4. Factor VII

Correct answer: 4. Factor VII

Explanation: Ans. (d) Factor VIIRef: Ganong, 25th ed/p.566Extrinsic pathway#Initiated by exposure to tissue thromboplastin (factor III) which activates factor VII